Tetracyclines can be given in all forms except :
1. Oral
2. Intravenous
3. Topical in eye
4. Topical in open wound

Correct answer: 4. Topical in open wound